Single best mortality indicator-
1. CDR
2. PMR
3. ASDR
4. CFR

Correct answer: 3. ASDR

Explanation: Ans. is 'c' i.e., ASDR o Age standardized death rate (ASDR) is best mortality' indicator.o Age adjustment or age standardization removes the confounding effect of different age structures of two different population and yields a single standardized rate, by which the mortality' experience can be compared directly.Direct standardizationIndirect standardizationo Age specific death rates of study population are applied to standard population,o Can not be used when age specific death rates are not available. So, following 2 are requiredPopulation in each are groupNumber of deaths in each age groupo Age specific death rates of standard population are applied to study population,o Can be used wrhen age specific death rates are not available.